GIST is most common in
1. Stomach
2. Duodenum
3. Ileum
4. Rectum

Correct answer: 1. Stomach

Explanation: Most common nonepithelial tumour of the gastrointestinal tract in which most common site is the stomach about 50%, small intestine constitute about 25%, rectum 15% & colon 10 %. Reference SRB 5 th edition page no. 857